Aspirin is associated with:
1. Reye's syndrome
2. Sjogren syndrome
3. Reiter synderome
4. None of above

Correct answer: 1. Reye's syndrome

Explanation: A. Reye's syndrome(Ref: Nelson's 20/e p 2902-2904)Reye's Syndrome (Jamshedpur Fever): pg 390What is it?An acute metabolic disorder resulting in generalized mitochondrial dysfunction due to inhibition of fatty acid oxidationCharacterised byFatty liver & Encephalopathy (due to liver damage & cerebral edema)Precipitating factors* Drugs, toxins, virus, IEM can precipitate it* Viruses that precipitate it are influenza A & B, Varicella, Adeno, Cox sackie A* It is not caused by RSV (Respiratory syncytial virus)Clinical features* History of precipitating factors like Aspirin intake* Liver dysfunction: Prolonged PT, hypoglycemia seen* Seizures are commonly seenTreatmentSupportivePrognosisPoor (25-70% mortality)